Layers of the scalp include all of the following except-
1. Galea aponeurotica
2. Adventitious layer
3. Skin
4. Pericranium

Correct answer: 2. Adventitious layer

Explanation: Ans. is 'b' i.e., Adventitious layer Layers of scalp have been explained in NEET Dec.-16